In a patient with autonomic dysreflexia after a spinal cord injury, supine BP of the patient is 200/100 mm Hg with heart rate of 58/min. Which of the following is required for initial management of these patients?
1. Nicardipine
2. Sodium nitroprusside
3. Nitro-glycerine
4. Labetalol

Correct answer: 3. Nitro-glycerine

Explanation: Management of patient with supine hypertension : Placing him in sitting position and giving him a buccal spray of NTG (nitro glycerine) followed by NTG drip if required. Trigger for Autonomic Dysreflexia in patients of spinal cord injury is blocked or kinked Foley's catheter or stool impaction. Choice A (Nicardipine) is used in Hemorrhagic stroke with hypertensive crisis. Choice B (Sodium nitroprusside) in hypertensive encephalopathy. Patient due to spinal cord injury above T6 develops massive sympathomimetic surge leading to splanchnic vasoconstriction and development of HTN. This triggered reflex bradycardia. Choice D (Labetalol) is ruled out in setting of bradycardia.